Giant papillary conjunctivitis occurs as an allergic response to all except:
1. Contact lens
2. Intraocular lens
3. Prosthesis
4. Nylon sutures

Correct answer: 2. Intraocular lens

Explanation: Ans. Intraocular lens